Which anticoagulant is used when blood is sent for blood culture-
1. Sodium citrate
2. EDTA
3. Oxalate
4. SPS

Correct answer: 4. SPS

Explanation: Blood culture media contain 0.03% SPS (Sodium polyenathol sulfonate), a polyanionic anticoagulant which additionally inhibits complement and lysozyme activity. It inactivates inhibitory substances which are present in blood.